Naturally occuring estrogens are:a) Estroneb) Estrad iolc) Estriold) Diethylstilbesterole) Pregnanediol
1. ab
2. bc
3. abc
4. bcd

Correct answer: 3. abc

Explanation: Natural estrogens are C18 steroids
Main Source - Theca and granulosa cells of Graafian follicle and corpus luteum.
Secondary source - Adrenal cortex


Naturally occurring estrogen


EstradioI – Main estrogen during reproductive years,
Estrone (Produced by peripheral aromatization of androstenedione) - Main estrogen after menopause
Estriol (the main source is placenta) - Main estrogen during pregnancy. It is a marker of feto-maternal-placental well being.